60 yrs old man presents in OPD with history of opium addiction for the last 20 yrs. He has given up opium from 2 days. Withdrawal symptoms will include :
1. Drowsiness
2. Constricted pupil
3. Rhinorhea
4. Led Blood pressure

Correct answer: 3. Rhinorhea

Explanation: C i.e. Rhinorrhea